Disease characterized by insidious onset and by an absolute increase in number of circulating RBCs and in total blood volume?
1. Leukopenia
2. Osler's disease
3. Mediterranean disease
4. Aplastic anaemia

Correct answer: 2. Osler's disease